The poor prognostic factor associated with ALL in children is -
1. Total leucocyte count 4000-10000
2. Age more than 2 years
3. Testicular involvement
4. Female gender

Correct answer: 3. Testicular involvement

Explanation: High risk factors in ALL are age belw 1yr & more than 10 yr, male gender, wbc count more than 50,000/cubic millimeter .,massive hepatomegaly,lymphadenopathy,mediastinal mass,central nervous system leukemia ,mature B cell as phenotype,hypodiploidy.Reference :Op Ghai essentials of pediatrics 8th edition pg no 601.